Cancer control programme was launched in ?
1. 1976
2. 1986
3. 1970
4. 1992

Correct answer: 1. 1976

Explanation: Ans. is 'a' i.e., 1976 With the objectives of prevention, early diagnosis and treatment, the national cancer control programme was launched in 1975-1976.